The dorsalis pedis artery terminates at the
1. Base of the proximal phalanx of the hallux
2. First metatarsophalangeal joint
3. Dorsum of ankle joint
4. Proximal part of first intermetatarsal space

Correct answer: 4. Proximal part of first intermetatarsal space

Explanation: DORSALIS PEDIS ARTERY:- Dorsal artery of foot. Chief palpable artery on dorsum of foot. Continuation of anterior tibial artery on to the dorsum of foot. The artery begins in front of the angle between the two malleoli.It passes forwards along the medial side of the dorsum of the foot to reach the proximal end of first intermetatarsal space. Here it dips downwards between the two heads of first dorsal interossei and ends in sole by completing the plantar arterial arch. Branches;Lateral tarsal artery Medial tarsal branches Arcuate artery First dorsal metatarsal artery. {Reference: BDC 6E pg no. 97}